Most common age group affected by streptococcus pyogenes
1. <5 years
2. 5-15 years
3. 20-25 years
4. 30-40 years

Correct answer: 2. 5-15 years

Explanation: Sore throat(tonsilitis) is the most common manifestation of streptococcal infection and affects 5-15 years age group.